Schwannoma most commonly involves the:
1. Vestibular part of VIII nerve
2. Cochlear part of VIII nerve
3. Vagus
4. Hypoglossal

Correct answer: 1. Vestibular part of VIII nerve

Explanation: (a) Vestibular part of VIII nerve(Ref. Shambaugh, 6th ed., 644)Rarely it may originate from the other mentioned options in the question